agranuloctosis is a side effect of
1. risperidone
2. clonazepam
3. olanzapine
4. carbamezepine

Correct answer: 4. carbamezepine

Explanation: - SIDE EFFECTS OF THE DRUG - APLASTIC ANEMIA - AGRANULOCYTOSIS - Hyponatremia - Steven Johnson's syndrome - Liver enzyme elevation - It has teratogenic potential Ref.kaplon and sadock, synopsis of psychiatry, 11 th edition, pg no. 935